No of iron in ferritin:
1. 4
2. 40
3. 400
4. 4000

Correct answer: 4. 4000

Explanation: Ans. D. 4000FerritinStorage Form of IronPoly nuclear complex of Hydrous ferric oxide carry about 4500 iron atomsSeen in Intestinal cells, Liver, Spleen Bone marrow Sensitive index of Body iron stores